Hysteroscopical excision can be done for all EXCEPT:
1. Uterine fundus fibroid
2. Submucous fibroid
3. Subserous fibroid
4. Endometrial polyp

Correct answer: 3. Subserous fibroid

Explanation: Ans. (c) Subserous fibroidRef: Shaws 15th ed. 1359* Uterine fibroids are noncancerous growths of the uterus that often appear during childbearing years. It is aka leiomyomas* They aren't associated with an increased risk of uterine cancer and almost never develop into cancer.Types* Intramural fibroids are located within the wall of the uterus and are the most common type* Subserosal fibroids are located underneath the mucosal (peritoneal) surface of the uterus and can become very large. They can also grow out in a papillary manner to become pedunculated fibroids.# Therefore hysteroscopical excision is not possible.# It can be resected lapascopically or by open laparotomy.* Submucosal fibroids are located in the muscle beneath the endometrium of the uterus and distort the uterine cavity; even small lesions in this location may lead to bleeding and infertility* Cervical fibroids are located in the wall of the cervix (neck of the uterus)* Subserosal fibroids are located on the outer surface of the uterus.